Most common cancer world wide
1. Lung
2. Prostate
3. Liver
4. Kidney

Correct answer: 1. Lung

Explanation: Most common cancer in males in India → Oro-pharyngeal Ca (Aero-digestive Ca).
Most common cancer in males in world → Lung Ca. o Most common cancer in females in India → Cervical cancer,
Most common cancer in females in world → Brast Ca. o Most common overall cancer in the world (combined male & female) → Lung cancer,
Most common cancer related death in males in India & in world → Ca lung, o Most common cancer related death in females in India & in world → Breast cancer.